Indications of prophylactic cholecystectomy are all except:-
1. Diabetes
2. Hemoglobinopathy
3. Gallstones size > 3 cm
4. Porcelain GB

Correct answer: 1. Diabetes

Explanation: Diabetes mellitus Patients with diabetes may have a higher incidence of gallstones from the indirect effects of the metabolic syndrome, obesity, and a family history of gallstones but no data show evolution of asymptomatic cholelithiasis in diabetics, and prophylactic cholecystectomy in asymptomatic gallstones carriers with diabetes is not recommended. Indication of prophylactic cholecystectomy Cardiac transplant recipients Lung transplant recipients Chronic TPN requirement Recipients of biliopancreatic diversion (bariatric patient) Children with hemoglobinopathy (sickle cell, thalassemia and spherocytosis) Asymptomatic gallstone >3cm Stone associated with the polyp Family history of GB cancer and asymptomatic stones Cholelithiasis encountered during elective abdominal procedure Non-functioning GBQ Typhoid carrier with positive bile culture Trauma to GB Porcelain GB